Mobile eye care services are not done at which level
1. Primary care level
2. Tertiary care
3. Secondary care
4. District hospitals

Correct answer: 2. Tertiary care